Prevalence of Burkitt's lymphoma is highest in?
1. Australia
2. Africa
3. Asia
4. America

Correct answer: 2. Africa

Explanation: Ans. (b) AfricaRef: Robbin's pathology 9th ed. /588* Globally, Burkitt lymphoma (BL) is endemic in certain regions of equatorial Africa and other tropical locations between latitudes 10deg south and 10deg north. Incidence in these areas of endemic disease is 100 per million children.* Epstein-Barr virus (EBV) infection is found in nearly all areas. In endemic areas, there seems to be a correlation with the geographic distribution of endemic malaria.* Malaria infection also probably plays a role in the pathogenesis of BL, as it can lead to inhibition of EBV- specific immune response. The exact mechanism of EBV-mediated lymphomagenesis, however, is not well understood, but evidence exists for a significant interaction between viral and cellular microRNA (miRNA) interfering with normal gene expression and translation. EBV can be detected in 25-40% of immunodeficiency-associated cases.